Infants require
1. Least amount of anaesthetic agent
2. Higher amount of anaesthetic agent
3. Equal amount as in adults
4. None

Correct answer: 2. Higher amount of anaesthetic agent

Explanation: MAC is higher in infants, so the potency of drug is less which implies higher amount of drug is required to induce same effect.